AML with gum infiltration, hepatosplenomegaly -
1. ALL
2. M3
3. M2
4. M4

Correct answer: 4. M4

Explanation: In acute leukemias the clinical features are primarily seen because of :


Replacement of normal cells of bone marrow by leukemic cells resulting in anemia, thrombocytopenia, neutropenia.
Infiltration of leukemic cell in various extramedullary organs causing, hepatomegaly, splenomegaly. Gum hypertrophy due to infiltration of gums by leukemic cells is one such feature. It is characteristically associated with AML-M5 and AML-M4 i.e. (acute monocytic leukemia).